Phosphofructokinase is the key enzyme of -
1. Glycogenolysis
2. Glvcogenesis
3. Glycolysis
4. TC A cycle

Correct answer: 3. Glycolysis

Explanation: Ans. is 'c' i.e., Glycolysis [Ref: Lippincott's 5th/e p. 99)ReactionsRate limiting enzymesGlycolysisPhosphofructokinaseGlycogen synthesisGlycogen synthetaseGlycogenolysisGlycogen phosphorylaseTCA cycleIsocitrate dehydrogenaseFatty acid synthesisAcetyl CoA carboxylaseCholesterol synthesisHMG CoA reductaseKetone body synthesisHMG CoA synthaseBile acid synthesis7-a-hydroxylaseCatecholamine synthesisTyrosine hydroxylaseUrea synthesisCarbamoyl transferase